Most important inflammatory mediator-(
1. TNF
2. IL-2
3. Interferon
4. PAF

Correct answer: 1. TNF

Explanation: Ans. is 'a' i.e. TNF Two most important inflammatory mediators --) IL-1, TNF- alpha.